Fear of contamination, counting behaviors and having to check and recheck are features characteristic of:
1. Panic attacks
2. Agoraphobia
3. Obsessive-compulsive disorder
4. Generalized anxiety disorder

Correct answer: 3. Obsessive-compulsive disorder

Explanation: Ans. Obsessive-compulsive disorder